Genital swellings in male differentiate into -
1. Glans penis
2. Penile urethra
3. Ischiocavernosus of penis
4. Scrotum

Correct answer: 4. Scrotum